Nucleotide includes -
1. Base + sugar
2. Base + phosphate group
3. Base + sugar + phosphate group
4. None

Correct answer: 3. Base + sugar + phosphate group

Explanation: Ans. is 'c' i.e., Base + sugar + phosphate group o Nucleotides are monomeric units of nucleic acids. They are required for synthesis of nucleic acid. Each nucleotide is made up of: (i) A nitrogenous base, (ii) A sugar (pentose sugar) and (iii) A phosphate group (phosphoric acid). Nitrogenous base combines with a sugar to form nucleosides. The nucleoside combines with phosphoric acid to form a nucleotide.Nucleoside = Nitrogenous base (purine or pyrimidine)Q-+ Pentose sugar Q (ribose or deoxyribose)Nucleotide = Nucleoside + phosphate group (phosphoric acid)or= Nitrogenous base + Pentose sugar + Phosphate group